Vestibular function is assessed by -
1. Fistula test
2. Hallpike manaeuver
3. Caloric test
4. All of the above

Correct answer: 4. All of the above

Explanation: Ans. is 'd' i.e., All of the above Vestibular systemo The vestibular system contributes to balance and to the sense of spatial orientation.o It is a sensory system that provides the leading contribution about movement and sense of balance.o It includes the labyrinth (semicircular canals and otolith : utricle & sacules) of the inner ear and is situated in the vestibulum in the inner ear.o The symptoms of vestibular dysfunction are vertigo, dizziness and imbalance.o There are several tests of vestibular function :-Clinical testsLaboratory testo Spontaneous nystagmuso Fistula testo Romberg testo Gaito Past- pointing and fallingo Hallpike manaeuver (Positional test)o Caloric test* Cold caloric test with ice cold water (modified Kobrak's test)* Fitzgerald - Hallpike test (Bithermal caloric test)Temperature of water used is +- 7 degC from normal body temperature.* Cold-air caloric test by Dundas- Grant method. Done in case of perforation of tympanic membrane.o Electronystagmographyo Optokinetic testo Rotation testo Galvanic testo Posturography